Which of the following is not a definitive airway?
1. Tracheostomy
2. Orotracheal tube
3. Nasotracheal tube
4. Laryngeal mask airway

Correct answer: 4. Laryngeal mask airway

Explanation: DEFINITIVE AIRWAYS Definitive airways prevents aspiration of gastric content, allows for control of ventilation and permits delivery of higher concentrations of oxygen. They include endotracheal tubes (nasotracheal / orotracheal), tracheostomy and cricothyroidotomy. NON DEFINITIVE AIRWAYS They do not protect the patient from gastric aspiration. The concentration of oxygen delivered to the patient is lower. But they have the advantage of being easier to insert. They can even facilitate insertion of definitive airways. (Certain laryngeal mask airways are designed to facilitate insertion of endotracheal tubes.) e.g. Laryngeal mask airway, Oropharyngeal airway, Nasopharyngeal airway ref : willey 10th ed